Loss of part or function -
1. Impairment
2. Disability
3. Handicap
4. Disease

Correct answer: 1. Impairment

Explanation: Ans. is 'a' i.e., Impairment